All of the following drugs can cause gynaecomastia except:
1. Digoxin
2. Amiloride
3. Cimetidine
4. Spironolactone

Correct answer: 2. Amiloride